Which of the following causes least irritation of the peritoneal cavity -
1. Bile
2. Gastric enzymes
3. Blood
4. Pancreatic enzymes

Correct answer: 3. Blood

Explanation: Gastric juice, Pancreatic juices, bile, urine and meconium irritate the peritoneal cavity and lead to aseptic (or chemical) peritonitis.